Which of the following statements about inhalation anesthetic agents is wrong?
1. Sevoflurane is more potent than isoflurane
2. Sevoflurane is less cardiodepressant than isoflurane
3. Desflurane has lower blood-gas partition coefficient than sevoflurane
4. Sevoflurane has a higher MAC than isoflurane

Correct answer: 1. Sevoflurane is more potent than isoflurane

Explanation: Sevoflurane is less potent than isoflurane as it lacks coronary vasodilating properties. Ref: Handbook of Clinical Anesthesia By Barash, Cullen, Stoelting , 5th Edition, Page 216; Handbook of Clinical Anesthesia By Paul G. Barash, Bruce F. Cullen, Robert K. Stoelting, M. Christine Stock, 6th Edition, Page 231